Antidote of datura poisoning is
1. Neostigmine
2. Pyridostigmine
3. Physostigmine
4. Atropine

Correct answer: 3. Physostigmine

Explanation: Datura is atropine .antidote is physostigmine because it is a tertiary amine which can cross BBB and neutralize central effects produced by atropine Ref: KDT 6th ed pg 101-102